In which of the tooth is the mesiodistal measurements is greater lingually than facially:
1. Maxillary 1st premolar
2. Mandibular 2nd premolar
3. Mandibular 1st premolar
4. Maxillary 1st molar

Correct answer: 4. Maxillary 1st molar